Rule of nine to estimate surface area of a burnt patient was introduced by -
1. Mortiz Kaposi
2. Alexander Wallace
3. Joseph Lister
4. Thomas Barclay

Correct answer: 2. Alexander Wallace

Explanation: "Rule of nine' has been devised by Palaski and Tennison (1949) and later modified by Wallace (1951).